Accelerated idioventricular rhythm (AIVR) is most characteristically seen in?
1. AV nodal block
2. Myocardial reperfusion
3. Metabolic derangement
4. Digitalis therapy

Correct answer: 2. Myocardial reperfusion

Explanation: Three or more ventricular beats at a rate slower than 100 beats/min are termed an idioventricular rhythm . Automaticity is the likely mechanism. Idioventricular rhythms are common during acute MI , reperfusion and may emerge during sinus bradycardia. Atropine may be administered to increase the sinus rates if this is a concern. This rhythm is also common in patients with cardiomyopathies or sleep apnea. Specific antiarrhythmic therapy for asymptomatic idioventricular rhythm is not necessary. Ref Harrison 20thed pg 1757